Which of the following is true regarding urea?
1. Transported through aquaporins
2. Re-absorbed in proximal tubule
3. No role in concentration of urine
4. Resorption is independent of ADH

Correct answer: 2. Re-absorbed in proximal tubule

Explanation: Urea Urea transported UT1, UT2 {UT- urea transporter} Urea transport is under the influence of ADH Contributes to 40 % of interstitial osmolarity Recycled & excreted in a concentrated manner. Urea reabsorption: - Urea is freely filtered 50 % of urea is reabsorbed in the proximal tubule with the reabsorption of water (solvent drag) Its secreted in thin ascending limb of LOH, In the CD, urea is reabsorbed together with water.